Plaque is considered as infection because
1. Antibiotics prevents its formation
2. Its presence is evidence of bacterial growth
3. It is communicable between experimental animals and probably humans
4. All of the above

Correct answer: 4. All of the above